Acrodermatitis entropathica is seen with deficiency of?
1. Zinc
2. Iron
3. Copper
4. Vit A

Correct answer: 1. Zinc

Explanation: Ans is 'a' i.e., Zinc Acrodermatitis enteropathica Zinc absorption in young patients with acrodermatitis enteropathica is low. Typically starts after weaning or earlier if the infant is not given breast milk. The child turns peevish, withdrawn and photophobic, and develops a vesicobullous dermatitis on hands, feet and periorificial areas. The scalp hair is lost. Diarrhoea is often present. Growth is stunted and there is a decreased resistance to infections. Wound healing is poor and skin lesions do not heal. Oral zinc in a dose of about 2 mg/kg/day.